Epitope spreading refers to
1. A type of mechanism of spread of malignant tumor
2. One type of mechanism of HIV dissemination
3. A mechanism for the persistence and evolution of autoimmune disease
4. One of the mechanism of apoptosis

Correct answer: 3. A mechanism for the persistence and evolution of autoimmune disease

Explanation: Ref Robbins 9/e p217 It is a phenomenon in which an immune response against one self antigens causes tissues damage releasing other antigens .and resulting in the activation of lymphocytes by these newly encountered epitope